Which of the following is not found in DiGeorge's syndrome?
1. Tetany
2. Eczema
3. Mucocutaneous candidiasis
4. Absence of T cells

Correct answer: 2. Eczema

Explanation: Disease Primary defect Secondary defect DiGeorge Syndrome (Thymic Hypoplasia) 22q11 deletion Failure of development of 3rd & 4th pharyngeal pouches T-cell defect Tetany Congenital defects of heart and great vessels Mucocutaneous candidiasis